Which of the following is not a variant of PSA
1. PSA density
2. PSA nodularity
3. PSA velocity
4. Ratio of free to bound PSA

Correct answer: 2. PSA nodularity

Explanation: In the past, most doctors considered PSA levels of 4.0 ng/mL and lower as normal. Therefore, if a man had a PSA level above 4.0 ng/mL, doctors would often recommend a prostate biopsy to determine whetherprostate cancer was present.